Which enzyme deficiency causes tyrosinemia type 1?
1. Fumaryl acetoacetate hydrolase
2. Tyrosine transaminase
3. HGA oxidase
4. Tyrosinase

Correct answer: 1. Fumaryl acetoacetate hydrolase

Explanation: Fumarylacetoacetate is then hydrolyzed to fumarate and acetoacetate by a hydrolase (step 6, Fig.17.2). This results in the production of a glucogenic product (fumarate) and a ketone body (acetoacetate). Hence phenylalanine and tyrosine are partly glucogenic and partly ketogenic. Important Specialized Products from TyrosineRef: DM Vasudevan - Textbook of Biochemistry, 6th edition, page no: 204